Which of the following includes the contents of the orbit
1. Orbital and bulbar fascia
2. Abducent nerve
3. Superior Ophthalmic Veins
4. All of the Above

Correct answer: 4. All of the Above

Explanation: Content of Orbit:

Eyeball - Eyeball occupies anterior 1/3rd of orbit.
Fascia - Orbital and bulbar fascia.
Muscles - Extraocular and intraocular muscles.
Vessels - Ophthalmic artery, superior and inferior ophthalmic veins and lymphatics.
Nerves - Optic, oculomotor, trochlear and abducent, branches of ophthalmic and maxillary nerves and sympathetic nerves.
Lacrimal gland.
Orbital fat.